Five days self Limiting Rectal painful bleeding-
1. Proctalgia fugax
2. Internal hemorrhoides
3. External hemorhoides
4. Thrombosed external haemorrhoids

Correct answer: 4. Thrombosed external haemorrhoids

Explanation: Ans. is 'd' i.e.. Thrombosed external hemorrhoids